Patient is diagnosed with BPH. Which of the following drug provides symptomatic relief?
1. Terazosin
2. Desmopressin
3. Finasteride
4. Sildenafil

Correct answer: 1. Terazosin

Explanation: Ans. A. TerazosinSelective Alpha 1 blocker provide symptomatic relief but do not effect the disease .5 alpha reductase like finasteride slow the disease progression.